The simplest alloy is a
1. Solid solution
2. Eutectic alloy
3. Peritectic alloy
4. Ternary alloy

Correct answer: 1. Solid solution